All can be manifestation of polycystic kidney except-
1. Urine retention
2. Renal hypertension
3. Renal failure
4. Haematuria

Correct answer: 1. Urine retention

Explanation: Ans. is 'a* i.e., Urine retention AUTOSOMAL DOMINANT POLYCYSTIC KIDNEY DISEASEo Autosomal dominant polycystic disease is characterized by B/L involvement of the kidney.Pathplogyo Both the kidney are grossly enlarged.o Multiple cysts cover the surface of the kidney.o The cysts contain straw coloured fluid that may become hemorrhagic.o The cysts are distributed evenly throughout the cortex and medullae. (cysts can also occcur in extrarenal locations such as spleen liver).Clinical featuress :o Chronic flank pain d/t mass effect of kidney.o Acute abdominal pain indicates the presence of urinary tract infection.o Gross and microscopic hematuria is common.o Urinary- tract infection is common and may involve the bladder or the renal interstitium l pyelonephritis) or infect a cyst (pyocyst).o Nephrolithiasis occurs in 15-20% of the patients. Factors contributing to nephrolithiasis are low urine pH, low urine citrate and urinary stasis and from distortion of the collecting system by cysts.o Hypertension is found in 20% to 30% of children and upto 75% of adults. (It is secondary to intrarenal ischemia from distortion of the renal architecture).o Progressive decline in renal function is common with - 50% of patients developing ESRDdeg by age 60. ESRD is approached more rapidly in patients with hypertension.